Posterior communicating artery is a branch of:
1. Middle cerebral artery
2. External carotid artery
3. Internal carotid artery
4. Ophthalmic artery

Correct answer: 3. Internal carotid artery